ATT drug causing hypothyroidism:
1. Isoniazid
2. Ethambutol
3. PAS
4. Rifampicin

Correct answer: 3. PAS

Explanation: Ans. (c) PASRef: 2008 WHO guidelines for programmatic management or drug resistant tuberculosisSecond line ATT like PAS (para amino salicylic acid) and ethionamide can lead to hypothyroidism. Exact mechanism is poorly understood.PAS also causes adverse reactions like GI upset, hepatotoxicity, Hypersensitivity.